Hyaline cartilage contains which type of collagen
1. Type 1
2. Type 2
3. Type 3
4. Type 4

Correct answer: 2. Type 2

Explanation: Reference Robbins page no 8th edition 1235